Most common cause of SNHL
1. Labyrinthitis
2. Presbycusis
3. Meniere's disease
4. Vestibular Schwannoma

Correct answer: 2. Presbycusis

Explanation: Presbycusis - Most common cause of SNHL. A/W physiological aging process in the ear Bilateral slopping curve Usually manifests at the age of 65 years, (old age) but may do so early if there is a hereditary predisposition, chronic noise exposure or generalized vascular disease.